Atropine is substituted by phenylephrine to facilitate fundus examination when?
1. Mydriasis required without cycloplagia
2. Cycloplegia is required
3. Mydriasis and cycloplegia both required
4. Cycloplegia and mydriasis both are not required

Correct answer: 1. Mydriasis required without cycloplagia

Explanation: Ans. is 'a' i.e., Mydriasis required without cycloplagia o Anticholinergic drugs (atropine) cause i) Mydriasis ii) Paralysis of ciliary muscles (cycloplegia) o Adrenergic drugs (phenylephrine) cause i) Mydriasis ii) Has no action on ciliary smooth muscles --> no cycloplegia For fundoscopy only mydriasis is required (no cycloplegia is required) --> Phenylephrine is preferred over atropine.